Safest antimalarial drug during pregnancy is ?
1. Mefloquine
2. Pyrimethamine
3. Proguanil
4. All

Correct answer: 3. Proguanil

Explanation: Ans. is 'c' i.e., Proguanil "Antimalarial medicines considered safe in the first trimester of pregnancy are quinine, chloroquine, clindamycin and proguanil" -- WHO guidelines